A 30-year-old lady who is always very talkative, even to strangers. She always compare herself to other colleagues in company. She remains agitated and move from one task to another (hyperactive):
1. Mania
2. Depression
3. Schizophrenia
4. Psychosis

Correct answer: 1. Mania

Explanation: Ans. A i.e. Mania